Most common site of genital tuberculosis is-
1. Ovary
2. Cervix
3. Fallopian tubes
4. Uterus

Correct answer: 3. Fallopian tubes

Explanation: Ans. is 'c' i.e., Fallopian tubes